All are true about coeliac trunk except -
1. Ventral branch of aorta
2. Surrounded by a plexus of nerves
3. Lies at lower border of pancreas
4. Left gastric artery is a branch

Correct answer: 3. Lies at lower border of pancreas

Explanation: Ans. is 'c' i.e., Lies at lower border of pancreas o Celiac trunk is related to upper border (not lower border) of body of pancreas.Coeliac Trunko Coeliack trunk is the artery ofthe foregut, therefore it supplies all derivatives of foregutLower end of esophapgus,stomach and proximal part of duodenum up to the opening of common bile ductLiverSpleenGreater part of pancreaso It arises from front (ventral surface) of the abdominal aorta at the level of Tp-L, disc space, just below the aortic opening of diaphragm.Realtions of coeliac trunk1. It is surrounded by the coeliac plexus of nerves .2. Anteriorly, it is related to the lesser sac and to the lesser omentum .3. To its right, there are the right crus of the diaphragm, the right coeliac ganglion and the caudate process of the liver.4. To its left, there are the left crus of the diaphragm, the left coeliac ganglion and the cardiac end of the stomach.5. Inferiorly, it is related to the body of the pancreas and to the splenic vein (fig. 21.2).Branches of coeliac trunko The coeliac trunk is only about 1.25cm long and it ends by dividing into its three terminal branches :1. Left gastric artery- Smallest of three branches- It gives of:Two or three esophageal branchesNumber of gastric branches2. Common hepatic artery- It gives of:Gastroduodenal arteryRight gastric artetyCystic artery3. Splenic artery-This is the largest branch.lt gives of:Numerous pancreatic branchesShort gastric arteriesLeft gastroepiploic arteries.